All of the following are X - linked except -
1. G - 6 PD deficiency
2. Hemophilia A
3. Von - willebrand's disease
4. Fragile X syndrome

Correct answer: 3. Von - willebrand's disease

Explanation: X - linked diseases -

Hemophilia A   
Androgen insensitivity
Hemophilia B 
Duchenne and Becker muscular dystrophy
G-6 PD deficiency
Fragile X syndrome
Nephrogenic diabetes insipidus
Adreno leukodystrophy
Menkes syndrome 
Spinobulbar muscular atrophy